Regarding phenytoin, false is:
1. Induces microsomal enzymes
2. At very low doses, zero order kinetics occur
3. Higher the dose, higher is the half life
4. Highly protein bound

Correct answer: 2. At very low doses, zero order kinetics occur

Explanation: *Phenytoin follows saturation kinetics (kinetics changes from first order to zero within therapeutic concentration), Zero order kinetics are seen at high doses. *It is also a potent enzyme inducer and can increase the metabolism of various drugs. *It is 80-90% plasma protein bound. REF: KATZUNG 14TH ED.